How many doses of vitamin A are required to treat deficiency -
1. 1
2. 2
3. 3
4. 4

Correct answer: 3. 3

Explanation: Ans. is 'c' i.e., 3 o Treatment schedule as recommended bv WHOAgeDay 0 (immediately)Day / (next day)After 2 week to 4 week> 1 year (except women of reproductive age)2 lakh IU orallyor1 lakh IU inti2 lakh IU orallyor1 lakh IU imi2 lakh IU orallyor1 lakh IU imi< 1 year or any age but < 8 kg50.000 IU orally50,000 IU orally50,000 IU orallyo Treatment schedule applies to all stages of active xeropthalmiao Oral administration is the recommended method of treatmento Intramuscular injection schould be preferred in presence of repeated vomiting and severe diarrhea